Antihypertensive used in angina pectoris is?
1. Alpha blocker
2. Beta blocker
3. diuretics
4. ACE inhibitors

Correct answer: 2. Beta blocker

Explanation: The anti hypertensives used in angina pectoris is beta blockers . Beta-blockers These lower myocardial oxygen demand by reducing heart rate, BP and myocardial contractility, but they may provoke bronchospasm in patients with asthma. The properties and side-effects of b-blockers are discussed on page 500. In theory, non-selective b-blockers may aggravate coronary vasospasm by blocking coronary artery b2-adrenoceptors, and so a once-daily cardioselective preparation such as slow-release metoprolol (50-200 mg daily) or bisoprolol (5-15 mg daily) is preferable. Beta-blockers should not be withdrawn abruptly, as rebound effects may precipitate dangerous arrhythmias, worsening angina or MI. This is known as the b-blocker withdrawal syndrome. Ref Harrison 20th edition pg 1567